Laryngeal cartilage involvement, investigation of choice is -
1. CT
2. MRI
3. Radionuclide scan
4. X- ray

Correct answer: 2. MRI